Serotonin is sexreted by
1. Leukocytes
2. RBCs
3. Platelets
4. Vessel wall

Correct answer: 3. Platelets

Explanation: platet seretonin normally the seratonin secreted from the enterochromaffin cells enters the blood stream . the platelets when bind to the clot release seratonin where it xan help in vaso constriction or dilation and hels in hemostasis Ref: Katzung 12 th ed.